Which is the first non-succedaneous tooth to erupt into the oral cavity:
1. Mandibular central incisor.
2. Mandibular first molar.
3. Maxillary first molar.
4. Maxillary central incisor.

Correct answer: 2. Mandibular first molar.

Explanation: Mandibular central incisor is the first succedaneous tooth to erupt in the oral cavity.
Mandibular 1st molar is the first non-succedaneous tooth to erupt in the oral cavity.